The height of a child is double the birth height at the age of –
1. 1 year
2. 2 years
3. 4 years
4. 6 years

Correct answer: 3. 4 years

Explanation: An infant usually doubles his birth height by the age of 41/2 years